In recording the border movement in the vertical plane, name the tracing produced by it:
1. Diamond tracing
2. Beak tracing
3. Shield tracing
4. None

Correct answer: 3. Shield tracing

Explanation: Border movement is the mandibular movement at the limits dictated by anatomic structures as viewed in a given plane.
Border movement recorded in: 
• Horizontal plane produces characteristic 'diamond tracing'.
• Sagittal plane produces 'Beak tracing.
• Vertical plane produces 'Shield tracing'
• Combination of border movements in all three planes produces 'Envelop' of motion.